Otospongiosis is inherited as:
1. Autosomal dominant
2. Autosomal recessive
3. X-linked dominant
4. X-linked recessive

Correct answer: 1. Autosomal dominant

Explanation: The exact etiology of otosclerosis is not known. In otosclerosis family history/heredity plays an important role. About 50% of patients of otosclerosis have a positive family history. It is an automosal dominant condition Shows incomplete penetrance and variable expression